Treatment for Cervical infertility can be all except:
1. Condom for 3 month
2. IUI
3. Gamete Intrafallopian transfer
4. Clomiphene citrate

Correct answer: 4. Clomiphene citrate

Explanation: Ans. is d i.e. Clominphene citrate Cervical factor infertility can be due to abnormal or deficient mucus due to : Infection Prior cervical surgery Use of antiestrogens (eg clomiphene citrate) for ovulation induction (so clomiphene is a cause of cervical factor infertility rather than management) Sperm antibodies The treatment of cervical factor thus depends on the cause : If it is due to chronic cervicult / infection - Treatment of infection by antibiotics is the cure. If is due to decreased mucus vis volume - Treatment includes short term supplementation with exogenous estrogen like ethinyl estradiol and use of mucolytic expectorant like guaifenesin. However, their value has not been confirmed. If it is due to antisperm antibodies. Treatment options include : Use of condom or diaphragm as a barrier method for 3 months. During this period, the antibodies will disappear and conception may occur then. - Corticosteroids given to female partner can also help in getting rid of these antibodies. - intrauterine insemination at the time of ovulation (most acceptable method for cervical factor infertility) or GIFT (Gamete intrafallopian transfer) are very useful techniques in such cases. IUI is the best method for treating cervical factor infertility and unexplained infertility. So many clinicians forgo cervical mucus testing and proceed directly to IUI treatment in absence of tubal disease.